Optic tract fibers project to thesuperior colliculi for
1. Reflex gazes
2. Light reflex
3. Generation of circadian rhythms.
4. Vertical nystagmus

Correct answer: 1. Reflex gazes

Explanation: Optic tract fibers project to the

Superior colliculifor reflex gazes
Pretectal areafor the light reflex
Suprachiasmatic nucleusof theanterior hypothalamus for generation of circadian rhythms.